Which of the following is not a part of lower motor neuron?
1. Anterior nerve root
2. Peripheral ganglia
3. Peripheral nerve
4. Anterior horn cells

Correct answer: 2. Peripheral ganglia

Explanation: Ans. B Peripheral gangliaRef: Gray's, 41st ed. pg. 231, 303Lower motor neuron (LMN): It consists of-* Anterior horn cells or homologous cells in brainstem* Anterior spinal nerve root* Peripheral nerve